Endoscopic sclerotherapy following are complications Except
1. Hepatic encephalopathy
2. Perforation
3. Stenosis
4. Fibrosis

Correct answer: 1. Hepatic encephalopathy

Explanation: Complications of Endoscopic Scleropathy Transient dysphagia (73%) chest pain (65%) esophageal ulcerations (63%) ulerogenic bleeding (14%) posttherapeutic hemorrhage (13%) esophageal strictures (10%) Pleural effusions (9%) subfebrile temperatures (6.4%) pericarditis (0.4%) esophageal perforation (0.4%) Ref: www.ncbi.nlm.gov